All of the following mediators of acute inflammation are derived from cells except -
1. Kinins
2. Cytokine
3. Histamine
4. Leukotriene

Correct answer: 1. Kinins

Explanation: Complement system, kinins, coagulation and fibrinolytic system are plasma protein derived. Basic Pathology, Robbins. Page no.: 45